Antigenic variation is not seen in:
1. Influenza type A
2. Influenza type B
3. Influenza type C
4. None of the above

Correct answer: 3. Influenza type C

Explanation: Influenza type C